Xylitol is a
1. Natural sweet amino acid
2. Synthetic sweet amino acid
3. Natural five carbon sugar
4. Synthetic five carbon sugar

Correct answer: 3. Natural five carbon sugar